All of the following are true about Osmotic Diarrhea. except:
1. Stool volume < 1 L/day
2. Diarrhea stops after fasting
3. Osmolar gap < 50
4. All of the following

Correct answer: 3. Osmolar gap < 50

Explanation: Answer is C (Osmolar gap < 50 ) Osmotic Diarrhoea is typically associated with a high osmolar gap typically more than 100. The normal stool osmolar gap is less than 50. Feature Osmotic diarrhea Secretory diarrhea________________ In secretory diarrhea, fluid and electrolyte transport is abnormal. Nat is, the intestine secretes rather than absorbs fluid Mechanism Osmotic diarrhea occurs when water- soluble molecules are poorly absorbed, remain in the intestinal lumen and retain water in the intestine. Daily stool volume (Liters) 1 >1 Effect of 48 hour fasting Diarrhea stops Diarrhea continues Fecal fluid analysis Solute gap >100 <50